Which of the following HLA is specific to rheumatoid arthritis -
1. HLADRI
2. HLADR2
3. HLADR3
4. HLADR4

Correct answer: 4. HLADR4